Which among the following condition can cause an increase in growth hormone level in blood?
1. Hypoglycemia
2. Cortisol
3. Methylprednisolone
4. Glucose

Correct answer: 1. Hypoglycemia

Explanation: Factors that stimulate secretion of growth hormone: Decreased blood glucose Decreased blood free fatty acids Starvation or fasting, protein deficiency Trauma, stress, excitement, exercise Testosterone, estrogen Deep sleep (stage II & IV) Growth hormone-releasing hormone Deoxyglucose Fasting Increase in circulating levels of few amino acids Glucagon Pyrogen Lysine vasopressin L-Dopa and adrenergic antagonists that penetrates the brain Apomorphine and other dopamine receptor agonists Factors that decreases secretion of growth hormone: Increased blood glucose and free fatty acids Ageing and obesity Somatostatin Exogenous growth hormone Somatomedins (insulin-like growth factors) REM sleep Cortisol Medroxyprogesterone